Steroids are not indicated in the treatment of?
1. Kaposi Sarcoma
2. Hodgkin Lymphoma
3. NHL
4. Multiple Myeloma

Correct answer: 1. Kaposi Sarcoma

Explanation: Steroids are not used in treatment of Kaposi sarcoma. TREATMENT: Hodgkin lymphoma Doxorubicin, bleomycin, vinblastine, and dacarbazine (ABVD) Mechlorethamine, vincristine,procarbazine, and prednisone (MOPP). NHL Rituximab,Cyclophosphamide, Hydroxydaunomycin, Oncovin and prednisolone (RCHOP) Multiple myeloma Lenalidomide, dexamethasone and Bortezomib.